Which does of radiation given in fraction over sereral weeks will causes radiation nephritis beginning six months of more -
1. 1000 rads
2. 1500 rads
3. 2300 rads
4. 4200 rads

Correct answer: 3. 2300 rads

Explanation: Ans. is 'c' i.e., 2300 rads o Exposure to 2300 to 2800 rad can cause radiation induced kidney damage.